Shortest acting mydriatic and cycloplegic drug is
1. Hyoscine
2. Homatropine
3. Tropicamide
4. Cyclopentolate

Correct answer: 3. Tropicamide

Explanation: Tropicamide is the shortest acting mydriatic ANTICHOLINERGIC DRUGS FOR EYE Atropine, homatropine, cyclopentolate and tropicamide are used as mydriatic and cycloplegic agents. Mydriatic action is useful in fundus examination whereas cycloplegic action allows correct assessment of refractive error Pain in iridocyclitis occur due to spasm of ciliary muscle which can be relieved due to cycloplegic action. Atropine has very long duration of action (3-5 days) in the eye Tropicamide is the shortest acting mydriatic. Anticholinergic agents are contra-indicated in glaucoma.